Among the following, the best indicator for acute malnutrition in the under-fives is
1. Midarm circumference
2. Head/chest circumference ratio
3. Weight for height
4. Height for age

Correct answer: 3. Weight for height

Explanation: Wasting (deficit in weight-for-height) indicates a deficit in tissue and fat mass and may result either from failure to gain weight or from actual weight loss.It usually signifies acute onset malnutrition. Page 101,Ghai essential pediatrics 6th edition